Pyrogens act on which site of brain ?
1. Basal ganglia
2. Limbic system
3. Thalamus
4. Hypothalamus

Correct answer: 4. Hypothalamus

Explanation: Ans. is 'd' i.e., Hypothalamus PyrogenesPyrogenes are substances that cause fever.Pyrogens may be exogenous or endogenousExogenous - Bacterial toxinsEndogenous - IL-1, TNF-a, IL-6, Interferons, Ciliory's neurotropic factorThese pyrogenes increase the level of PGE, in the hypothalamus that elevates the thermoregulatory set point and causes fever.